Which of the following is an example of small-vessel vasculitis?
1. Takayasu arteritis
2. Microscopicpolyangitis
3. Giant cellarteritis
4. Polyarteritis nodosa

Correct answer: 2. Microscopicpolyangitis

Explanation: Ans. is 'b' i.e., Microscopic polyangitis o Vasculitis refers to inflammation of the wall of blood vessels.o Because the cause of most forms of vasculitis are not known the vasculitides are classified according to their clinicopathological features:o Vasculitis can be separated by the size of vessels involved.o Based on whether the process is primary i.e. of the unknown cause or secondary to some other conditionClassification of vasculitis on the size of vesselLarge vessel vasculitis (aorta and its largest branches to extremities and head and neck)o Giant cell arteritiso Takayasu arteritiso Cogan syndromeMedium vessel vasculitis (main visceral arteries and their branches)o Polyarteritis nodosao Kawasaki diseaseo Buerger s diseaseSmall vessel vasculitis (arterioles, venules, capillaries, occasionally small arteries)ANCA associated small vessel vasculitiso Wegener s granulomatosiso Microscopic polyangiitiso Churg strauss syndromeo Drug induced ANCA associated vasculitisANCA negative small vessel vasculitiso Behcet s diseaseo Hypersensitivity vasculitiso Urticarial vasculitis